OCD Rx of choice -
1. Fluoxetine
2. Imipramine
3. Diazepam
4. None

Correct answer: 1. Fluoxetine

Explanation: Ans. is 'a' i.e., Fluoxetine SSRIs are drug of choice for ? o OCD o Panic disorder o Premenstural dysphoric disorder o Eating disorders o Depression o Social phobia o Post traumatic stress disorder